Multiple psoriatic lesions on hands. Treatment of choice is?
1. NBUVB
2. Systemic methotrexate
3. Topical steroids and salicylic acid
4. Systemic steroids

Correct answer: 3. Topical steroids and salicylic acid

Explanation: Ans. is 'c' i.e., Topical steroids and salicylic acid * Preferred treatment for localized psoriasis is topical coal tar or short contact, dithroanol.* Alternative is topical steroids + Salicylic acid* Methotrexate is the DOC for Erythrodermic psoriasis. Acitretin is an alternative.Treatment of choice for different types of Psoriasis1. Plaque psoriasis (Psoriasis vulgaris)a) Localized (30%) - Topical coal tar or short contact, dithroanol.Alternative - topical steroids + Salicylic acidb) Extensive (> 30% surface area) - Narrow band UVBc) Focal lesions - Topical steroids2. Guttate psoriasis - Antibiotics + Emollients3. Flexural psoriosis - Topical steroids + antifungal agents.4. Pustular psoriosisa) Localized - Topical steroids + Salicylic acid or topical PUVAb) Generalized - Acitretin (first choice), Methotrexate (second choice). Oral corticosteroids are the DOC in Pregnancy. Cyclosporine is also very effective for pustular psoriasis.5. Erythrodermic psoriasis - Methotrexate, Acitretin6. Psoriatic arthritis - Methotrexate.